The following are the common features of acute idiopathic thrombocytopenic purpura except-
1. Epistaxis
2. Cutaneous ecchymoses
3. Massive splenomegaly
4. Thrombocytopenia

Correct answer: 3. Massive splenomegaly

Explanation: Acute ITP is a self limiting disorder seen mor frequently in children following recovery from a viral illness or an upper respiratory illness.The clinical manifestations develop abruptly with petechial hemorrhages,easy bruising ,menorrhagia,nasal bleeding ,bledding from gums,melaena & hematuria.In ITP, platelet count is markedly reduced. Splenomegaly & hepatomegaly may occur in cases with chronic ITP ,but not in acute ITP.Reference :Harsh mohan textbook of pathology 6th edition pg no 333.